A young 25 year old man following RTA presented with proptosis (pulsatile in nature) ,chemosis and pain in right eye after 4 days. On Examination there was bruit on forehead and right eye. The probable diagnosis is
1. Cavernous sinus thrombosis
2. Carotico cavernous Fistula
3. Fracture sphenoid
4. Internal Carotid Artery Aneurysm

Correct answer: 2. Carotico cavernous Fistula

Explanation: B i.e. Carotico cavernos Fistula